The antagonistic muscle to superior rectus is :
1. A.Inferior oblique
2. Inferior rectus
3. Superior oblique
4. Lateral rectus

Correct answer: 2. Inferior rectus

Explanation: B i.e., Inferior rectus